Most common delivery room emergency in newborns
1. Shock
2. Life threatening congenital malformations
3. Convulsions
4. Failure to initiate efficient respiration

Correct answer: 4. Failure to initiate efficient respiration

Explanation: Ans. d (Failure to initiate efficient respiration) (Ref. Nelson textbook of paediatrics, p. 723)The most common delivery room emergency for neonates is secondary to failure to initiate and maintain effective respirations. Less frequently, but of major importance are shock, severe anemia, plethora, convulsions and management of life-threatening congenital malformation.Educational Points:# NEC is the most common life-threatening emergency of the gastrointestinal tract in the newborn period.# ABO incompatibility is the most common cause of hemolytic disease of the newborn.